Ultrasound and radionuclids studies are primary imaging modalities used for assessment of -
1. Renal trauma
2. Renovascular hypertension
3. Renal tuberculosis
4. Renal transplant

Correct answer: 4. Renal transplant